Vaccine associated paralytic polio is due to
1. Polio virus type 1
2. Polio virus type 2
3. Polio virus type 3
4. None of the above

Correct answer: 3. Polio virus type 3

Explanation: VAPP - Vaccine associated paralytic polio is due to polio virus type 3
VDPV - Vaccine derived poliovirus is due to poliovirus type 2.